Colour coding of halothane , isoflurane, sevoflurane and desflurane is respectively
1. red, purple, blue , yellow
2. red , purple, yellow , blue
3. red , yellow, purple, blue
4. red, blue , purple, yellow

Correct answer: 2. red , purple, yellow , blue